Ogive is-
1. Bar chart
2. Histogram
3. Cumulative frequency curve
4. Frequency polygon

Correct answer: 3. Cumulative frequency curve